What is a first external sign of decomposition of a dead body-e
1. Decomposition of liver and intestine
2. Greenish discoloration over right iliac fossa
3. Greenish discoloration over dependent parts
4. Blood stained froth from mouth

Correct answer: 2. Greenish discoloration over right iliac fossa

Explanation: Ans. is 'b' i.e., Greenish discolouration over right iliac fossa Decomposition of bodyo Produced mainly by the action of bacterial enzymes (lecithinase- Cl welchii)o Anaerobic organism (from bowels)o Causes marked hemolysis & liquefaction in blood vessels & tissue spaces, producing the following changes:Color changes- greenish discolouration over right iliac fossa (sulphamethhemoglobin) - Over cecum (12-18hrs) - spreads over entire abdomen- genitalia- chest- neck- face - arms -legs.Superficial veins over the roots of the limbs, thighs, sides of the abdomen, shoulder, chest & neck are stained greenish brown or purplish red, marbled appearance in 36-48 hrs.Foul smelling gases- 6-12 hours in the intestine in summers, due to reduction & breakdown of proteins & carbohydrates. Gases produced are carbon dioxide, ammonia, methane, mercaptans, and hydrogen sulfide. Gas bubbles cause crepitation & give a sponge-like feelingBlood stained froth from mouth & nostrils is called post-mortem purge Distension of body: 36-48 hrs Anus & uterus prolapse: 2-3 days Postmortum blisters, face distortion: > 3 days Nail, skull sutures, hair loss > 5daysSkin shows slippage and comes off in a glove Sc stocking fashion.Post mortum luminance due to Photobacterium fischeri bacteria & Armillaria mellea fungiLiquefaction of tissues ( colliquative putrefaction)-5-10 daysPutrefactive effusion - pleural cavity 60-100mlSkeletonization occurs in about 1 hourOrder of appearance of putrefaction - larynx, trachea> stomach, intestine> liver, spleen > brain, lungs> heart, kidney > bladder, uterus/prostate> skin, muscles, tendon> bonesHoneycomb appearance (foamy liver) seen in the liver is due to putrefactionUterus/prostate are last to putrifyEntomology of cadaver: eggs of houseflies are deposited in 6 to 12 hrs in nostrils, mouth; in 8-12 hrs, maggots are produced from eggs; 4-5 days maggots become pupae; flies are formed in 3-5 days.